The two strands of DNA are held together by:
1. Van-der -Waal bond
2. Hydrogen bond
3. Covalent bond
4. Ionic interaction

Correct answer: 2. Hydrogen bond

Explanation: B i.e. Hydrogen bond